ACE inhibitors are contraindicated in:-
1. Hypertension
2. Myocardial infarction
3. Renal artery stenosis
4. Left ventricular dysfunction

Correct answer: 3. Renal artery stenosis

Explanation: ACE inhibitors are contraindicated in: Pregnancy Bilateral renal artery stenosis Hyperkalemia ACE INHIBITORS adverse effects: C - Cough A - Angioedema P - Prodrugs (except captopril and Lisinopril) T - Taste disturbances O - Orthostatic hypotension (when combined with diuretics) P - Pregnancy (contra- indicated) R - bilateral Renal artery stenosis (contra-indicated) I - Increased K+ (contra-indicated) L - Lower the risk of diabetic nephropathy (Preferred drug in diabetic patients with hypertension)